The two embryonic hemoglobins are:
1. Fetal hemoglobin and Gower hemoglobin
2. Fetal hemoglobin and Poland hemoglobin
3. Poland hemoglobin and HbA2
4. Gower hemoglobin and Poland haemoglobin

Correct answer: 4. Gower hemoglobin and Poland haemoglobin

Explanation: - Gower and Poland Hb are seen in the embryonic period. - Fetal Hb is predominantly seen after the embryo changes to a fetus HEMOGLOBIN TYPES AT DIFFERENT STAGES OF LIFE: